Tympanoplasty is mainly used for-
1. Otosclerosis
2. CSOM
3. ASOM
4. None

Correct answer: 2. CSOM

Explanation: Ans. is 'b' i.e., CSOM o Myringoplasty' and tympanoplasty are mainly used in tubotympanic type of CSOM when there is recurring discharge or if there is deafness sufficient to cause disability'.